Which of the following shows granular depositionof IgA in dermal papilla
1. Dermatitis herpetiformis
2. IgA papillomatosis of childhood
3. Bu11ous pemphigoid
4. Gestational herpes

Correct answer: 1. Dermatitis herpetiformis

Explanation: In Direct immunofluorescence intercellular IgG -fishnet pattern throughout the epidermis is seen in pemphigus vulgaris.Linear IgG and C3 at basement membrane zone is seen in bullous pemphigoid. Granular IgA at basement membrane zone and tips of papillae is seen in Dermatitis herpetiformis page no.287 Reference IADVL's concise textbook of dermatology